Root value of supinator jerk -
1. C3C4
2. C4C5
3. C5C6
4. C8T1

Correct answer: 3. C5C6

Explanation: Ans. is 'c' i.e., C5 C6ReflexRoot valueBiceps reflex (biceps jerk)C5C6Supinator reflex (Supinator jerk)C5 C6Triceps reflex (Triceps jerk)C7C8Knee jerkL3L4Ankle jerkS1S2